The most common cause of hyperthyroidism is:
1. Thyroid hyperplasia
2. Thyroid adenoma
3. Thyroid carcinoma
4. Grave disease

Correct answer: 4. Grave disease

Explanation: Answer is D (Grave's Disease): Grave's disease is the single most common cause for Hyperthyroidism and Thyrotoxicosis.